In boys which is the first visible sign of puberty?
1. Testicular enlargement
2. Penile growth
3. Breast hypertrophy
4. Dark scrotum

Correct answer: 1. Testicular enlargement

Explanation: In boys- first visible sign of puberty is testicular enlargement. While in girls, the first sign of puberty is thelarche or breast development.